Sleeping sickness is transmitted by -
1. Tsetse fly
2. House fly
3. Sand fly
4. Simulium fly

Correct answer: 1. Tsetse fly

Explanation: Sleeping Sickness is caused by T. brucei. :- transmitted by Tsetse fly Leishmaniasis :- by Sand fly cholera and dysentry :- house fly Simuliumis a genus of blackflies, which may transmit diseases such as onchocerciasis (river blindness)